A drug that binds to and inhibits Gp IIb/IIIa glycoprotein and is responsible for platelet antiaggregatory effects is:
1. Clopidogrel
2. Enoxaparin
3. Fondaparinux
4. Tirofiban

Correct answer: 4. Tirofiban

Explanation: Aspirin Clopidogrel Ticlopidine 3 Act on TXA2 2 Act on ADP Abciximab Tirofiban Eptifibatide Act on GpIIb/IIIa